The term 'rampant caries' applies to a mouth having:
1. 5 or more lesions/year
2. 10 or more lesions/year
3. 2 or more lesions/year
4. 12 or more Lesions/year

Correct answer: 2. 10 or more lesions/year